Vitamin D analogue calcitriol is useful in the treatment of:
1. Lichen planus
2. Psoriasis
3. Pemphigus
4. Leprosy

Correct answer: 2. Psoriasis

Explanation: Vitamin D3 analogues - Naturally occurring, active metabolite of vit.D3 - 1,25-Dihydroxyvitamin D3 (calcitriol) 3 synthetic analogues: -calcipotriol -1,24-Dihydroxyvitamin D3 (Tacalcitol) and -1,25-Dihydroxyvitamin D3 (Maxacalcitol), effective when applied topically in Psoriasis